Artificial insemination with husband's semen is indicated in all the following situations, except
1. Oligospermia
2. Impotency
3. Antisperm antibodies in the cervical mucous
4. Azoospermia

Correct answer: 4. Azoospermia

Explanation: Chronic medical disorder, oligospermia, impotency, premature ejaculation, hypospadias, antisperm antibodies in the cervical mucus. 
Azoospermia means the absence of sperm in semen. So it won't help in the treatment of infertility by artificial insemination.